50 people are suffering from cholera in a population of 5000. Out of 50 suffering from cholera, 10 died. But the total deaths are 50. What is the death rate?
1. 1 per 1000
2. 5 per 1000
3. 10 per 1000
4. 20 per 100

Correct answer: 3. 10 per 1000

Explanation: Death rate is calculated as the total number of deaths per 1000 population. Since 50 persons died in 5000 population, the death rate would be 10 per 1000